A 60-year-old woman with small cell carcinoma of the lung notes rounding of her face, upper truncal obesity, and muscle weakness. Physical examination reveals thin, wrinkled skin, abdominal striae, and multiple purpuric skin lesions. The patient's blood pressure is 175/95 mm Hg. Laboratory studies will likely show elevated serum levels of which of the following hormones?
1. Aldosterone
2. Corticotropin
3. Epinephrine
4. Prolactin

Correct answer: 2. Corticotropin

Explanation: - Given features point towards cushing syndrome - This patient most likely has paraneoplastic condition associated with corticotropin (ACTH)-producing small cell carcinoma of lung - Clinical manifestations of hypercortisolism in patients with Cushing syndrome are Emotional disturbances Moon facies Osteoporosis Hypertension Upper truncal obesity (Buffalo hump) Amenorrhea Muscle weakness, thin wrinkled skin, purpura Glucose intolerance, poor wound healing and skin ulcers. -ACTH producing cells having basophilic cytoplasm changes from granular to homogenous due to accumulation of intermediate filaments in cytoplasm : Crooke hyaline change - None of the other options given are associated with Cushing syndrome.